Aplastic anemia can progress to -
1. AML
2. Myelodysplastic anemia
3. Paroxysmal nocturnal hemoglobinuria
4. All

Correct answer: 4. All

Explanation: Ans. is 'a' i.e., AML; 'b' i.e., Myelodysplastic anemia; 'c' i.e., Paroxysmal nocturnal hemoglobinuria Aplastic anemia can progress to : - Paroxysmal nocturnal hemoglobinuria, Myelodysplastic anaemia, Rarely acute leukemia.